Which of the following is a part of Mobius syndrome except?
1. Decreased chest movements
2. Bilateral facial involvement
3. Unilateral or bilateral abducent nerve involvement
4. Ataxia

Correct answer: 4. Ataxia

Explanation: The classically accepted diagnostic criteria include: 1) facial paralysis or weakness affecting at least one but usually both sides of the face (7th cranial nerve), 2) paralysis of sideways (lateral) movement of the eyes (6th cranial nerve); and 3) preservation of vertical movements of the eyes. Other symptoms that sometimes occur with Mobius syndrome are: Limb abnormalities--clubbed feet, missing fingers or toes Chest-wall abnormalities (Poland Syndrome) Crossed eyes (strabismus) Difficulty in breathing and/or in swallowing Corneal erosion resulting from difficulty in blinking Moebius syndrome is a rare neurological condition that primarily affects the muscles that control facial expression and eye movement. The signs and symptoms of this condition are present from birth. Weakness or paralysis of the facial muscles is one of the most common features of Moebius syndrome Ref Harrison20th edition pg 2345